Most common type of vaginal carcinoma is :
1. Squamous cell carcinoma
2. Adenocarcinoma
3. Transitional cell carcinoma
4. Columnar cell Ca

Correct answer: 1. Squamous cell carcinoma

Explanation: Squamous cell carcinoma